Which of the following is the chemoprophylaxis of choice in a person who is on a journey to endemic malarial region?
1. Mefloquine
2. Quinine
3. Lumefantrine
4. Pyrimethamine

Correct answer: 1. Mefloquine

Explanation: Chemoprophylaxis of choice is Mefloquine. Chemoprophylaxis comes under specific protection. Chemoprophylaxis of malaria: - Short term - Doxycycline - Long term - Mefloquine